Bulk mass contraction is seen in:
1. Stomach
2. Duodenum
3. Ileum
4. Colon

Correct answer: 4. Colon

Explanation: Ans: D i.e. ColonMass movement/mass peristalsis occur twice a day.A ring of constriction appears near the splenic flexure and travels down sweeping the descending colon, pushing the faeces into the rectum